The characteristic feature of catatonic schizophrenia is
1. Stupor
2. Rigidity
3. Negativism
4. All of the above

Correct answer: 4. All of the above

Explanation: (D) All of the above